Pnemococcus producing mucoid colonies most often is type -
1. I
2. II
3. III
4. IV

Correct answer: 3. III

Explanation: Ans. is 'c' i.e., III Some strains of pneumococci that develop abundant capsular material form large mucoid colonies e.g.